Which of the following ocular findings is a component of Foville's syndrome?
1. Lateral gaze palsy
2. Medial gaze palsy
3. 3rd nerve palsy
4. Nystagmus

Correct answer: 1. Lateral gaze palsy

Explanation: Foville's syndrome after dorsal pontine injury includes: Side Manifestation Tracts/nucleus Contralateral Weakness - upper and lower extremity Corticospinal tract Ipsilateral Weakness -face - entire side VII nucleus/fascicle Ipsilateral Lateral gaze weakness PPRF or CN VI nucleus Anatomy: Pons: Unilateral lesion in the dorsal pons Blood vessel- Basilar artery Foville's syndrome after dorsal pontine injury includes lateral gaze palsy, ipsilateral facial palsy, and contralateral hemiparesis incurred by damage to descending corticospinal fibers. Millard-Gubler syndromefrom ventral pontine injury is similar except for the eye findings. There is lateral rectus weakness only, instead of gaze palsy, because the abducens fascicle is injured rather than the nucleus.